Teeth prepared and restored using rubber dam isolation are less prone to postoperative problems related to contamination from oral fluids. The statement is
1. TRUE
2. Partially True
3. FALSE
4. Partially False

Correct answer: 1. TRUE